Sternal index is to ?
1. Age determination
2. Sex determination
3. Species identification
4. None of the above

Correct answer: 2. Sex determination

Explanation: Ans. is 'b' i.e., Sex determinationSternal Index is used for sex determination.Sternal Index (SI) = (ML/BL) x 100ML - Length of manubriumBL - Length of the body (mesosternum).